All of the following statements are true regarding hypertrophy, except:
1. Occurs due to synthesis and assembly of additional intracellular components.
2. There is an increase in the size of the cells.
3. Cells capable of division respond to stress by hypertrophy and hyperplasia.
4. There is an increase in the number of cells.

Correct answer: 4. There is an increase in the number of cells.

Explanation: The increased size of the cells is due to the synthesis and assembly of additional intracellular structural components. Hypertrophy refers to an increase in the size of cells, which results in an increase in the size of the affected organ. Cells capable of division may respond to stress by undergoing both hyperplasia and hypertrophy. The hypertrophied organ has no new cells, just larger cells.